HLA antigen is located at
1. Short arm of chr-6
2. Long arm of chr-6
3. Short arm of chr-8
4. Long arm of chr-8

Correct answer: 1. Short arm of chr-6

Explanation: HLA complex (MHC) gene is located on the short arm of chromosome 6.